Which of the following is not normally excreted in urine?
1. Sodium
2. HCO3
3. Creatinine
4. Uric acid

Correct answer: 2. HCO3

Explanation: The hydrogen ions secreted into the luminal fluid is required for the reabsorption of filtered bicarbonate.Bicarbonate is filtered by the glomerulus. This is completely reabsorbed by the proximal convoluted tubule so that the urine is normally bicarbonate-free.Ref: D M Vasudevan 7th edition Page no: 396